A psychiatric patient taking medication develops a tremor, thyroid enlargement and leucocytosis. Drug implicated is:
1. Clomipramine
2. Haloperidol
3. Lithium
4. Olanzapine

Correct answer: 3. Lithium